About Burkitt's lymphoma-What is true -
1. CD34+ve & surface Immuno Globulin +ve
2. CD34+ve & surface Immuno Globulin -ve
3. CD34-ve & surface Immuno Globulin -ve
4. CD34-ve & surface Immuno Globulin +ve

Correct answer: 4. CD34-ve & surface Immuno Globulin +ve

Explanation: . CD34-ve &; surface Immuno Globulin +ve